Who described that P. intermedia is responsible for pregnancy gingivitis?
1. Loesche
2. Kornman
3. Both
4. None

Correct answer: 3. Both

Explanation: Kornman and Loesche reported that the subgingival flora changes to a more anaerobic flora as pregnancy progresses; the only microorganism that increases significantly during pregnancy is P. intermedia.